Causing hurt by means of poison, etc with an intent to commit an offence is punishable under
1. Sec. 328 IPC
2. Sec.326 A IPC
3. Sec.327 IPC
4. Sec. 329 IPC

Correct answer: 1. Sec. 328 IPC

Explanation: - Sec. 328 IPC - Causing hurt by means of poison, etc with an intent to commit an offence shall be Punishment is imprisonment upto 10 years and also fine. - Sec.326 A IPC - voluntarily causing grievous hurt by means of acid - Sec.327 IPC - voluntarily causing hurt to extort property - Sec. 329 IPC - voluntarily causing grievous hurt to extort property